Colon cut off sign seen in –
1. Acute pancreatitis
2. Diverculities
3. Appendicitis
4. Carcinoma colon

Correct answer: 1. Acute pancreatitis

Explanation: Colon cut off sign is seen in acute pancreatitis.